In pantamograph, if patient chin is placed anterior to the focal trough, the structures appears to be
1. Blurred and Diminished
2. Blurred and Magnified
3. Either magnified or diminished
4. Only Blurred

Correct answer: 1. Blurred and Diminished